The mechanism of anticancer action of fluorouracil is:
1. Cross linking of double stranded DNA and the resulting inhibition of DNA replication and transcription
2. Cytotoxicity resulting from a metabolite that interferes with the production of dTMP
3. Irreversible inhibition of dihydrofolic acid reductase
4. Inhibiting the formation of mitotic spindle

Correct answer: 2. Cytotoxicity resulting from a metabolite that interferes with the production of dTMP

Explanation: 5-Fluorouracil (5-FU) is an antimetabolite. It is a thymidine analogue and acts by conversion to 5'-dUMP. Latter inhibits the formation of dTMP and results in thymineless death of cells. Option 1 is mechanism of alkylating agents like cyclophosphamide Option 3: methotrexate is example of DHFRase inhibitor Option 4: Vincristine like drugs act by inhibiting mitotic spindle